Commonest indication for..... liver transplantation in infant is -
1. Alcoholic cirrhosis
2. Biliary cirrhosis
3. Primary hemochromatosis
4. Biliary atresia

Correct answer: 4. Biliary atresia

Explanation: Ans is d i.e.; Biliary atresia